In guided tissue regeneration technique for root coverage, the titanium-reinforced membrane was used
by___________ to create space beneath the membrane.
1. Tinti and Vincenzi
2. Pini-Prato and Tonetti
3. Ramfjord and Nissle
4. Widman and Cohen

Correct answer: 1. Tinti and Vincenzi